Which of the following is not a rate limiting enzyme?
1. HMG CoA reductase
2. Phosphofructokinase
3. Acetyl CoA carboxylase
4. Malonate dehydrogenase

Correct answer: 4. Malonate dehydrogenase